2,3 DPG binds to_____ site of Hb and____ release of O2
1. One, increase
2. Four, increase
3. One, decrease
4. Four, decrease

Correct answer: 1. One, increase

Explanation: 2,3 DPG is a highly charged anion that binds to beta chain of deoxyHb. One mole of deoxyHb binds to one mole of 2,3 DPG. An increase in concentration shifts the reaction to right causing more O2 to be liberatedRef: Ganong's Review of medical physiology, 25th edition. page no.641